Lacunar infarcts are caused by -
1. Lipohyalinosis of penetrating arteries
2. Middle carotid artery involvement
3. Emboli to anterior circulation
4. None of the above

Correct answer: 1. Lipohyalinosis of penetrating arteries